Which tissue consumes the highest oxygen?
1. Choroid
2. Lens
3. Retina
4. Ciliary epithelium

Correct answer: 3. Retina

Explanation: Retina is the highest oxygen consuming tissue of not only the eye but also amongst one of the most richly perfused tissues of body.